In a vehicular accident, extensive contusions of brain due to acceleration and deceleration injury indicate what kind of injury?
1. Penetrating Injury
2. Coup-Countercoup Injury
3. Second Impact Syndrome
4. Crush injury

Correct answer: 2. Coup-Countercoup Injury

Explanation: Ans. b (Coup-Countercoup Injury). (Ref. Parikh's testbook of FMT 6th ed. 4.98)TRAUMATIC BRAIN INJURYTYPE OF INJURYCOMMENTSContusion# Can result from a direct impact to the head, and is a bruise (bleeding) on the brain.# Large contusions may require surgery.Coup-Countercoup Injury# Contusions at both the site of impact and the opposite side of the brain.# Occurs when the force impacting the head causes the brain to slam to the opposite side of the skull, shearing brain cells.# The result is a contusion at the original impact site, and on the opposite side.Second Impact Syndrome# Can occur when an individual sustains a second brain injury before the symptoms from the first have healed.# This second injury is more likely to cause swelling and widespread damage and requires immediate emergency medical treatment.# Longterm effects include muscle spasms, increased muscle tone, rapidly changing emotions, hallucinations and difficulty in thinking and learning.Diffuse Axonal Injury# Can be caused by shaking (acceleration-decceleration injury) or strong rotation of the head.# The unmoving brain lags behind movement of the skull, causing brain structures to tear.# It can produce damage, coma or death.# No obvious external injury may be evident, but patient may be unconscious/ comatose.# DWMRI is diagnostic.# Compression of cisterns and blurring of GW matter interface with petechial hem orrhages are notable findings on CT/MRI .Locked in SyndromeA rare neurological condition in which a person cannot move any part of the body, except the eyes.Victims are fully conscious and able to think and use blinking and eye gestures to communicate.